Pancreatitis occurs with:
1. Abacavir
2. Zidovudine
3. Lamivudine
4. Didanosine

Correct answer: 4. Didanosine

Explanation: The most prominent dose related toxicity associated with the use of didanosine are pancreatitis and peripheral neuropathy. Ref: Essentials of Medical Pharmacology By KD Tripathi, 5th Edition, Page 728 - 30; Pharmacogenomic Testing in Current Clinical Practice : Implementation in the Clinical Laboratory By Alan H. B. Wu, Kiang-Teck J. Yeo, Page 203.